Kussmaul's breathing is seen in?
1. Metabolic acidosis
2. Metabolic alakalosis
3. Respiratory acidosis
4. Respiratory alkalosis

Correct answer: 1. Metabolic acidosis

Explanation: Hyperpnea (Kussmaul Breathing) An increased tidal volume produces increased alveolar ventilation, which increases excretion of CO2. This is an appropriate compensatory response to metabolic acidosis of any cause and is a direct toxic effect of salicylates. It is also seen with hypoxia. The term Kussmaul breathing is applied to deep, regular respirations, whether the rate be normal, slow, or fast. Common examples of precipitating metabolic acidosis are diabetic ketoacidosis and uremia. Hypoxemia (e.g., pneumonia, pulmonary embolism) and decreased oxygen delivery as a result of severe anemia or hemorrhage also lead to hyperpnea. Ref: LeBlond R.F., DeGowin R.L., Brown D.D. (2009). Chapter 4. Vital Signs, Anthropometric Data, and Pain. In R.F. LeBlond, R.L. DeGowin, D.D. Brown (Eds), DeGowin's Diagnostic Examination, 9e